Cause of exudative retinal detachment are –a) Scleritisb) Toxaemia of pregnancyc) Dysthyroid eye diseased) Central serous retinopathye) Sickle cell retinopathy
1. acd
2. abd
3. abc
4. ab

Correct answer: 2. abd

Explanation: Posterior scleritis, Toxaemia of pregnancy and central serous retinopathy can cause exudative retinal detachment.